Action of lignocaine is affected by all except
1. PH at the site of injection
2. Blood flow at the site of injection
3. Vasoconstrictor in the L.A solution
4. Action of cholinesterase at the site of injection

Correct answer: 4. Action of cholinesterase at the site of injection